Intracellular water is how much percentage of body weight
1. 40%
2. 60%
3. 25%
4. 80%

Correct answer: 1. 40%

Explanation: ICF-40% of TBW.(Ref.Textbook of physiology 4th edition page no.24 table 1.3.1)